Highest chance of perinatal transmission is there when the mother is positive for -
1. HBeAg
2. HBsAg
3. IgM anti HBsAg
4. IgG anti HBsAg

Correct answer: 1. HBeAg

Explanation: Ans. is 'a' i.e., HBeAg Perinatal HBV transmissiono Maximum perinatal transmission is seen in HBV amongst all viral hepatitisoMost common cause of HBV transmission in children is transfusion of blood and blood products.o Most important risk factor that determines perinatal transmission is HBeAg. HBs Ag carrier mothers who are HBe Ag positive almost invariably (> 90%) transmit hepatitis B infection to their offspring, where as carrier mothers with anti HBe rarely (10 to 15%) infect their offspringo Infants bom to Hbs Ag positive mothers should receive both HBIG and HB vaccine intramuscularly at seperate sites within 12 hours of birth, followed by 2nd and 3rd dose of vaccine at 1 and 6 months respectively.